Indications of FESS include -
1. CSF rhinorrhea
2. Orbital abscess
3. Inverted papilloma
4. All of the above

Correct answer: 4. All of the above

Explanation: Ans. is 'd' i.e., All of the above Indications of FESSi) Chronic bacterial sinusitis unresponsive to adequate medical treatment.ii) Recurrent acute bacterial sinusitis.iii) Polypoid rhinosinusitis (diffuse nasal polyposis).iv) Fungal sinusitis with fungal ball or nasal polypi.v) Antrochoanal polyp and Ethmoid polypvi) Mucocele of frontoethmoid or sphenoid sinus.vii) Control of epistaxis by endoscopic cautery.viii) Removal of foreign body from the nose or sinus.ix) Endoscopic septoplasty.x) Removal of benign tumours, e.g. inverted papillomas or angiofibromas.xi) Orbital abscess or cellulitis management.xii) Dacryocystorhinostomy.xiii). Repair of CSF leak.xiv) Pituitary surgeryxv) Optic nerve decompression.xvi) Orbital decompression for Graves disease.xvii) Control of posterior epistaxis(endoscopic clipping of sphenopalatine artery).xviii) Choanal atresia.